The following group of lymph nodes receives lymphatics from the uterus except -
1. External iliac
2. Internal iliac
3. Superficial inguinal
4. Deep inguinal

Correct answer: 4. Deep inguinal

Explanation: Lymphatic drainage of the uterus
-        Cervix- External iliac, internal iliac, sacral lymph nodes
-        Body (Lower part)- External iliac
-        Body (upper part) and fundus- para-aortic nodes, superficial inguinal